All give rise to malignancy except
1. Cholelithiasis
2. Ulcerative colitis
3. Bronchiectasis
4. Paget’s disease

Correct answer: 3. Bronchiectasis

Explanation: • Bronchiectasis cannot cause malignancy. The complications which may be associated with bronchiectasis are: Cor pulmonale, metastatic brain abscesses, and amyloidosis.
• To be considered bronchiectasis, the dilation should be permanent; reversible bronchial dilation often accompanies viral and bacterial pneumonia.